Bull's eye lesion seen with:
1. Chloroquine
2. Dapsone
3. Rifampicin
4. Ethambutol

Correct answer: 1. Chloroquine

Explanation: Ans: A (Chloroquine) akobiec 2nd / 2240.2248 }Causes of Bull's Eye MaculopathyChloroquine1?Toxicity of phenothiazine D Bardet-Biedl SyndromeInverse retinitis pigmentosaDystrophies:benign concentric annular macular dystrophyfenestrated sheem dystrophycone dystrophyStargardt disease Bulls eye maculopathy causes loss ofcentrai vision as well as constriction of peripheral fields.The two main S/E of Chloroquine are - corneal deposits & maculopathyQRetinal Toxicity of Systemic Drugs# Chloroquine/Hydroxy chloroquine : Bull's eye maculopa thyQ.Thioridazine : pigmentary retinopathyChloropromazine : Pigment clumping of retinaNiacin: bilateral maculopathy that mimics cystoids macular edema.Tamoxifen : fine refractive intraretinal crystals as well as granular deposits at the level of the pigment epithelium.Deferoxamine : macular pigmentary irregularities